Increased risk of liver adenoma is found in which of the following diseases?
1. Lipid storage disorder
2. Mitochondrial disease
3. Glycogen storage disorder
4. Lysosomal storage disorder

Correct answer: 3. Glycogen storage disorder

Explanation: Increased risk of hepatic adenomas is a feature of glycogen storage disorder type 1 (Von Geirke's disease). NARP stands for Neuropathy, Ataxia and Retinitis Pigmentosa. NARP is a disease featuring weakness of the muscles near the trunk, ataxia (wobbliness), retinal disease, seizures and developmental delay. Ref : Biochemistry by U. Satyanarayana 3rd edition Pgno : 269